Tympanic plexus is formed by-
1. Tympanic branch of glosopharyngeal nerve
2. Vagus nerve
3. Gacial nerve
4. Mandibular nerve

Correct answer: 1. Tympanic branch of glosopharyngeal nerve

Explanation: A i.e. Tympanic